In testicular torsion, surgery within how much time can save viability of testis
1. 6 hr
2. 12 hr
3. 24 hr
4. 1 week

Correct answer: 1. 6 hr

Explanation: The sooner the operation is done, the better the outlook to save your testis. Ideally, the operation should be done within 6-8 hours of symptoms. If treated either manually or surgically within six hours, there is a high chance (approx. 90%) of saving the testicle. At 12 hours the rate decreases to 50%; at 24 hours it drops to 10%, and after 24 hours the ability to save the testicle approaches 0